Infective agent causing atherosclerosis -
1. M. pneumoniae
2. C. Pneumoniae
3. H.influenza
4. C. Diptheriae

Correct answer: 2. C. Pneumoniae

Explanation: Ans. is 'b' i.e., C. pneumoniaeo Seroepidemiological studies suggest an association between several microbes and coronary heart disease.o Microbes or their structural components are found in atherosclerotic plaques, but the only intact microbes commonly present are herpes viruses and Chlamydia pneumoniae.o These agents are able to initiate and accelerate atherosclerosis in animal models.o If they cause persistent infection in the vessel wall, they can directly promote a proinflammatory, procoagulant, and proatherogenic environment.